The lipoprotein particles that have the highest percentage concentration of cholesterol is:
1. Chylomicron
2. VLDL (Very low density lipoprotein)
3. LDL (Low density lipoprotein)
4. HDL (High density lipoprotein)

Correct answer: 3. LDL (Low density lipoprotein)